In children below 5 years of age, most common cause of gingivitis is
1. local irritating factors
2. herpes
3. vitamin deficiency
4. malocclusion

Correct answer: 1. local irritating factors